Drugs associated with clinically useful or physiologically important positive inotropic effects include all of the following except:
1. Amrinone
2. Enalapril
3. Digoxin
4. Dobutamine

Correct answer: 2. Enalapril